Vitamin A supplementation in a 10 month old child with xeropthalmia is
1. One dose of 1 lakh units
2. Two doses of 1 lakh units
3. Three doses of 1 lakh units
4. Two doses of 2 lakh units

Correct answer: 3. Three doses of 1 lakh units

Explanation: The three doses are given on 0,1 and 14th day In less than 1 year ago oral dose is 1 lakh IU whereas injectable is 50,000IU Refer Khurana 6th edition page number 467